Reumatic activity involves mostly valves-
1. Aortic & tricuspid
2. Aortic & pulmonary
3. Mitral & tricuspid
4. Mitral & aortic

Correct answer: 4. Mitral & aortic